A patient has oral ulcer and skin bullae, which are slow to heal. The lesion is
1. Intradermal
2. Suprabasal
3. Epidermal
4. Sub corneal

Correct answer: 2. Suprabasal

Explanation: Ans. b. Suprabasal Bulla on body and oral mucosa in a 50 years old male is suggestive of Pemphigus vulgaris. Pemphigus vulpris: Characterized by cutaneous (thin walled, delicate and flaccid bulkier and mucosal blisters. Mucosal lesions are present in all patients, oral mucosa most frequently involved, painful erosions extend peripherally with shedding of mucosaQ. Bulla is intra-epidermar, the split being suprabasalQ. Presence of acantholytic cells (rounded keratinocytesQpresent in the blister cavity and at the edge of the blister) with row of tombstone appearance Types of Bullae Intra-Epidermal PemphigusQ Herpes simplex/zosterQ Molluscum contagiosumQ Variola/varicellaQ EczemaQ Darriers diseaseQ Miliria rubraQ PompholyxQ Sub-Epidermal PemphigoidQ Dermatitis herpetiformisQ Herpes gestationalisQ BurnsQ Erythema multiformeQ Epidermolysis b.ullosa Lichen planus bullosaQ